TRUE about anal membrane:
1. Perforates at 6 weeks
2. Develops from anterior part of cloacal membrane
3. Lies at proximal part of proctodaeum
4. Covers urogenital sinus

Correct answer: 3. Lies at proximal part of proctodaeum

Explanation: Anal membrane develops from posterior (not anterior) part of cloacal membrane, lies at proximal part of proctodaeum and covers primitive rectum (not urogenital sinus). During development, cloaca ( at distal end of hindgut ) is covered by cloacal membrane which has two parts. Urogenital membrane is the ventral (anterior) part to cover primitive urogenital sinus. Anal membrane is the dorsal (posterior) part to cover primitive rectum. Anal membrane perforates at 9th week to let open the gut tube to the exterior at proctodaeum.